The study of how variations in the human genome affect the response to medications is known as?
1. Pharmacogenomics
2. Pharmacokinetics
3. Pharmacotherapeutics
4. Pharmacovigilance

Correct answer: 1. Pharmacogenomics

Explanation: ANSWER: (A) PharmacogenomicsREF: Goodman and Gillman s 11th edition page 57"Pharmacogenetics is the study of the genetic basis for variation in drug response; it also encompasses pharmacogenomics, which employs tools for surveying the entire genome to assess multigenic determinants of drug response"